Dofetilide is which class of anti arrhythmia drug
1. Class 1
2. Class 11
3. Class 111
4. Class 1V

Correct answer: 3. Class 111

Explanation: Refer kDT 7/e 529 Dofetilide is a class III antiarrhythmic agent Dofetilide is used for the maintenance of sinus rhythm in individuals prone to the occurrence of atrial fibrillation and flutterarrhythmias, and for chemical cardioversionto sinus rhythm from atrial fibrillation and flutter